Which of the following is the most important in strength of ZOE?
1. Liquid powder ratio
2. Temperature of mixing stab
3. Speed of mixing
4. Addition of few drops of water

Correct answer: 1. Liquid powder ratio

Explanation: The solubility of the set cement is highest among the cements (0.4 to 1.5 % wt). They disintegrate in oral fluids. This breakdown is due to hydrolysis of the zinc eugenolate matrix to form zinc hydroxide and eugenol. Solubility is reduced by increasing the powder/liquid (P/L) ratio.